Increase in cAMP is caused by-
1. Somatostain
2. b (Beta) receptor
3. a (Alfa) receptor
4. Acetylchoine

Correct answer: 2. b (Beta) receptor

Explanation: Ans. is 'b' i.e. b (Beta) receptor Adenylyl cyclase (AC) o Activation of AC results in increased synthesis and intracellular accumulation of cAMP (by stimulatory G protein). o cAMP acts through cAMP dependent Protein Kinase 'A', which phosphorylate and alters the function of many enzymes, ion channels and structural proteins.